Binding of oxygen to haemoglobin reduces its affinity for carbon dioxide, which is known as
1. Haldane effect
2. Chloride shift
3. Bohr effect
4. Anion exchanger 1

Correct answer: 1. Haldane effect

Explanation: Increase in carbon dioxide in the blood causes oxygento be displaced from the hemoglobin (the Bohr effect). The reverse is also true: binding of oxygen with hemoglobin tends to displace carbon dioxidefrom the blood. Indeed, this effect, called the Haldane effect, Ref: Guyton & Hall: Textbook of Medical Physiology page no:946